Unequal division of the conus cordis resulting from anterior displacement of the conotruncal septum gives rise to
1. Persistent truncus arteriosus
2. Coarctation of aorta
3. Tetralogy of Fallot
4. Transposition of great vessels

Correct answer: 3. Tetralogy of Fallot

Explanation: C. i.e. Tetralogy of Fallot